A sexually active female came with green coloured profuse frothy foul smelling discharge with intense itching. O/E strawberry cervix revealed. What condition she belongs to?
1. Candidiasis
2. Trichomonas vaginitis
3. Bacterial vaginosis
4. None

Correct answer: 2. Trichomonas vaginitis

Explanation: Trichomoniasis Caused by Trichomonas vaginalis - flagellate protozoan motile organism Symptoms: severe itching and severe pruritis ColpitisMacularis (Strawberry Vagina) Greenish yellow, frothy discharge Rx: Metronidazole Rx both female and male partner